For which of the following patients is a home total parenteral nutrition (TPN) program most likely to be useful?
1. an untreatable disease
2. a 4-day requirement for nutrition
3. short bowel syndrome
4. neoplasms with bowel obstruction

Correct answer: 3. short bowel syndrome

Explanation: Home parenteral nutrition is usually helpful in extreme short-bowel syndrome, chronic obstruction due to adhesions, and severe radiation enteritis. Placement of a central venous catheter, careful calculation of fluid and nutritional requirements, and meticulous monitoring are required in a long-term parenteral nutrition program.